Antidote for arsenic poisoning is
1. Ferric oxide
2. Aluminium oxide
3. Magnesium oxide
4. Nickel oxide

Correct answer: 1. Ferric oxide

Explanation: Ans. is 'a' i.e. Ferric oxide Treatment of arsenic poisoning includes stomach wash and use of freshly precipitated hydrated ferric oxide as an antidote (which forms ferric arsenite a harmless salt).